Following drugs have abuse liability except
1. Alprazolam
2. Buprenorphine
3. Dextropropoxyphene
4. Fluoxetine

Correct answer: 4. Fluoxetine

Explanation: The answer for this question can be easily understood by just having an idea about the outline of pharmacology Among the choices fluoxetine is an antidepressant used in the management of depression and it has no abuse potential Ref.Kaplon and sadock, synopsis of psychiatry, 11 th edition, pg no. 1013